Which ones are used for long term alcohol withdrawl
1. Acamprostate
2. Disulfiram
3. Naltrexone
4. All

Correct answer: 4. All

Explanation: A i.e. Acamprostate; B i.e. Disulfiram; C i.e. Naltraxone